In renal agenesis, the adrenal gland is:
1. Absent
2. Present on contralateral side
3. Ectopic in the iliac fossa
4. Present at the usual location

Correct answer: 4. Present at the usual location

Explanation: Embryological development of kidneys and adrenal is different, hence even in renal agenesis, adrenal glands will be in normal position.